Which of the following is not a support of the uterus?
1. Urogenital diaphragm
2. Pelvic diaphragm
3. Perineal body
4. Rectovaginal septum

Correct answer: 4. Rectovaginal septum

Explanation: (Refer: Gray's Anatomy, 40th Edition, Chapter. 77)